Zero dose of polio vaccine is given:
1. Before giving DPT
2. At birth
3. When child is having diarrhea
4. When child is having polio

Correct answer: 2. At birth

Explanation: b. At birth(Ref: Nelson's 20/e p 1561, Ghai 8/e p 190-194)OPV zero dose: At birth or as early as possible within the first 15 days.